Which of the following is a Rho kinase inhibitor?
1. Fasudil
2. Ranolazine
3. Amiloride
4. Nicorandil

Correct answer: 1. Fasudil

Explanation: Ans. a. Fasudil